Most common tumor caused by virus is:
1. Warts
2. Carcinoma cervix
3. Nasopharyngeal carcinoma
4. Lymphoma

Correct answer: 1. Warts

Explanation: Ans. (a) Warts' Rtf. Harrison RTI - n 1117-1118, 18/e, p 1482 Disease Associated human papilloma viruses Common warts (Verruca vulgaris) Condyloma accuminatum (Anogenital warts) 16, 18, 31, 33, 35, 39, 45 Cervical carcinoma 16, 18, 31, 33, 35, 39, 45 Laryngeal papillomas 6, 11 Low grade intraepithelial neoplasias 6, 11, 16, 18